Which is the commonest complication of Mumps in adults ?
1. Encephalitis
2. Orchitis
3. Pancreatitis
4. Carditis

Correct answer: 2. Orchitis

Explanation: Meningoencephalitis is common in children. Unilateral deafness and thyroiditis are also known complication.